Shortest acting nondepolarising muscle relaxant-
1. Succinylcholine
2. Mivacurium
3. Atracurium
4. Vecuronium

Correct answer: 2. Mivacurium

Explanation: Ans. is 'b' i.e., Mivacurium o Suxamethonium (succinylcholine) is the shortest acting skeletal muscle relaxant.o Mivacurium is the shortest acting nondepolarizing skeletal muscle relaxant.Mivacuriumo Mivacurium is the shortest acting competitive blockers.o It does not need reversal - can be used as an alternative to SCh for endotracheal intubation.o It is metabolized rapidly by plasma cholinesterases - prolonged paralysis can occur in pseudocholinesterase deficiency.o Mivacurium is the only nondepolarising (competitive) blocker that is metabolized by plasma cholinesterase (pseudocholinesteres).